Reducing sugar in the urine is seen in
1. Fanconi anemia
2. Lactose intolerance
3. Galactosemia
4. Phenylketonuria

Correct answer: 3. Galactosemia

Explanation: Galactosemia

Reducing sugar (galactose) in urine is seen in galactosemia.